Which of the following can invade the IVC
1. Renal cell carcinoma
2. Breast carcinoma
3. Bladder cancer
4. Head of Pancreas cancer

Correct answer: 1. Renal cell carcinoma

Explanation: Renal cell carcinoma MC malignant tumor of adult kidney and most lethal of all malignancies More common in males, in 6th & 7th decade Majority are sporadic Hereditary variants are VHL syndrome, Hereditary clear cell carcinoma and hereditary papillary carcinoma Tumor usually involve upper pole Spread of tumor Characteristic feature of RCC is Tendency to Invade renal vein. Further extension produces a continuous cord of tumor in IVC and even in right side of heart MC route is Hematogenous MC sites of distant metastasis are lungs (cannon ball deposits & pulsating secondaries) > Bone > Liver > Brain Lymphatic spread occurs when tumor extends beyond renal capsule Ref : Smith 18th edition Pgno : 340